Which of the following is not a typical deformity seen in congenital tali pes equinovarus?
1. Forefoot adduction.
2. Forefoot pronation.
3. Midfoot cavus.
4. Hindfoot varus.

Correct answer: 2. Forefoot pronation.

Explanation: Ans. B. Forefoot pronation.Congenital tali pes equinovarus (clubfoot) is a deformity of the foot with an incidence of 1 in 250-1000. It is more common in males and is often bilateral. There may be associated musculoskeletal anomalies. A number of deformities are seen: forefoot adduction (tibialis posterior), forefoot supination (tibialis anterior), midfoot cavus (intrinsic, flexor hallucis longus, flexor digitorum longus), hindfoot varus (Achilles tendon, tibialis posterior) and hindfoot equinus (Achilles tendon). Dr Ponseti has revolutionized the treatment of clubfoot from a surgical (posteromedial release) to a non-surgical one (serial casting).